Gag gene encodes for -
1. Reverse transcriptase
2. Core antigen
3. Envelope
4. Gene activation

Correct answer: 2. Core antigen

Explanation: The Gag gene determines the core and shell of the virus.. REF:ANANTHANARAYAN AND PANIKER'S TEXTBOOK OF MICROBIOLOGY 9TH EDITION PAGE NO-571